Necrotizing arterioritis with fibrionoid necrosis is -
1. Immediate hypersensitivity
2. Cell mediated immunity
3. Antigen-antibody complex mediated
4. Cytotoxic cell mediated

Correct answer: 3. Antigen-antibody complex mediated

Explanation: Ans. is 'c' i.e., Antigen-antibody complex mediated o The principal morphological manifestation of immune (antigen-antibody) complex injury is necrotizing vasculitis with necrosis of vessel wall and intense neutrophilic infiltration,o The necrotic tissue and deposits of immune complexes, complement and plasma proteins produce a smudgy eosinophilic deposition that obscures the underlying cellular detail, an appearance termed fibrinoid necrosis.